Which of the following adverse effects characteristically associated with methysergide ?
1. Pulmonary hypertension
2. Retroperitoneal fibrosis
3. Hepatotoxicity
4. Ischemic heart disease

Correct answer: 2. Retroperitoneal fibrosis